"Disability limitation" is a mode of intervention in:
1. Primary level of prevention
2. Secondary level of prevention
3. Tertiary level of prevention
4. Primordial prevention

Correct answer: 3. Tertiary level of prevention